Following antiviral drugs used in chicken pox EXCEPT
1. Acyclovir
2. Famciclovir
3. Valacyclovir
4. Nivirapine

Correct answer: 4. Nivirapine

Explanation: (Nevirapine) (1044-H) (1104-5-HI7lh)Nevirapine (Non nucleoside reverse transcriptase inhibitors) used in AIDSTreatment of chicken pox & Herpes Zoster* Acyclovir (800 mg by mouth five times daily for 5-7 days) is recommended for adolescent and adult with chicken pox of < 24 hours duration* Famciclovir - the prodrug of penciclovir, is at least as effective as acyclovir* Valacyclovir, the prodrug of acyclovir, accelerates healing and resolution of zoster-associated pain more promptly than acyclovir.Treatment of Acute neuritis / or post herpetic neuralgia - analgesics* Gabapentin, amitriptyline, hydrochloride, lidocaine patches, and fluphenazine hydrochloride have been beneficial for pain relief.* Glucocorticoids is appropriate only for relatively healthy elderly persons who have moderate or severe pain at presentation.* Glucocorticoids should not be used without concomitant antiviral therapy. (1045-H)